All of the following manifestations may be associated with lacunar infarcts, except:
1. Pure motor loss
2. Pure sensory loss
3. Ataxia
4. Quadriplegia

Correct answer: 4. Quadriplegia

Explanation: Answer is D (Quadriplegia): Quadriplegia/Quadriparesis are not associated with lacunar infarcts.